Pro-inflammatory cytokines are:
(A)IL-1
(B)1L-2
(C)IL- 4
(D)IL- 6,
(E)IL- 8
1. ABC
2. CAB
3. ADE
4. BAC

Correct answer: 3. ADE